Action of progesterone ?
1. Increased sensitivity of uterus to oxytocin
2. Inhibits LH secretion
3. Decrease in body temperature
4. Causes proliferative changes in uterus

Correct answer: 2. Inhibits LH secretion

Explanation: Ans. is 'b' i.e., Inhibits LH secretion